In renal disease albumin is first to appear in urine because
1. Of its high concentration in plasma
2. Has molecular weight slightly greater than the molecules normally getting filtered
3. High albumin : globulin ratio
4. Tubular epithelial cells are sensitive to albumin

Correct answer: 2. Has molecular weight slightly greater than the molecules normally getting filtered

Explanation: Ans. (b) Has molecular weight slightly greater than the molecules normally getting filtered(Ref: Ganong, 25th ed/p.677)Glomerular membrane permits neutral substances up to 4 nm in diameter. Substances greater than 8nm diameter are totally excludedAlbumin size is 7 nm. So, it has molecular weight slightly greater than the molecules normally getting filtered